Which of the following cranial nerve is a derivative of 3rd branchial arch?
1. Vagus
2. Facial nerve
3. Glossopharyngeal nerve
4. Mandibular division of trigeminal nerve

Correct answer: 3. Glossopharyngeal nerve

Explanation: Third cranial arch give rise to glossopharyngeal nerve. First branchial arch give rise to mandibular division of trigeminal nerve, second arch give rise to facial nerve, 4th and 6th arch give rise to vagus nerve. Other derivatives of 3rd branchial arch are:Skeletal elements: greater cornua and lower part of the body of hyoid.Muscular element: stylopharyngeusNeural element: glossopharyngeal nerveVascular element: common carotid and internal carotid arteryDerivatives of first branchial arch:Skeletal elements: stapes, stylohyoid process, stylohyoid ligament, lesser cornua of the hyoid and the upper part of the body of hyoid. Muscular element: masseter, temporalis, medial and lateral pterygoid, tensor palati, tensor tympani, mylohyoid and anterior belly of digastric. Neural element: Facial nerveVascular element: Stapedial arteryRef: Head and Neck Anatomy for Dental Medicine By Eric Baker,page 61